‘Himalayan P waves’ in ECG is characteristic of:
1. Atrial septal defect
2. Eisenmenger syndrome
3. Tetralogy of Fallot
4. Ebstein’s anomaly

Correct answer: 4. Ebstein’s anomaly

Explanation: 12 – lead ECG

Rarely normal
Abnormal P waves consistent with right atrial enlargement – ‘Himalaya P waves”.
RBBB in 75-92%
PR prolongation is common due to RA enlargment
Ventricular pre-excitation 10-30%